The reshaping process of gingiva in the absence of 
periodontal pocket is
1. curettage
2. gingivoplasty
3. gingivectomy
4. flap operation

Correct answer: 2. gingivoplasty